A six year old child presented with a valgus deformity at his right elbow since 3 years that is gradually progressive. He has a history of cast applied for 6 weeks after falling on outstretched hand 3 years back. The probable fracture was
1. Malunited lateral Condylar fracture of Humerus
2. Malunited Supracondylar Fracture of Humerus
3. Posterior dislocation of elbow
4. Fracture medial condyle of humerus

Correct answer: 1. Malunited lateral Condylar fracture of Humerus

Explanation: Fractures commonly showing cubitus valgus deformity due to malunionFracture lateral condyle humerusMonteggia Fracture dislocation(Refer: Mohindra's Fundamentals of Orthopedics, 2nd edition, pg no. 16)